Which of the following has highest electrophoretic mobility and least lipid content
1. Chylomicrons
2. HDL
3. LDL
4. VLDL

Correct answer: 2. HDL

Explanation: HDL

HDL:- Has maximum electrophoretic mobility, has maximum density, has minimum lipid content, has maximum protein (apoprotein) content, are smallest in size, has maximum phospholipid, has minimum triglycerides.
Chylomicrons:- Have no electrophoretic mobility, have minimum density, have maximum lipid content, have minimum protein content, are largest in size, have minimum phospholipids, have maximum triglycerides.